The most likely cause of fluctuating jaundice in a middle aged or elderly man is
1. Peri-ampullary carcinoma
2. Liver fluke
3. Choledochal cyst
4. Carcinoma of pancreas

Correct answer: 1. Peri-ampullary carcinoma